Predominant osteoblastic secondaries are seen in:
1. Prostate Ca
2. Breast Ca
3. Bone Ca
4. Stomach Ca

Correct answer: 1. Prostate Ca

Explanation: Ref: Robbins Pathologic Basis of Disease, 8th edition. Bone misc tumors chapter Pg: 1205Explanation:The radiographic manifestations of metastases may he purely lytic, purely blastic. or mixed lytic and blastic.In lytic lesions, the metastatic cells secrete substances such as prostaglandins, cytokines, and PTH-related protein that stimulate osteoclast hone resorption; the tumor cells themselves do not directly resorb bone.Lysis of hone tissue rich in growth factors such as TGF-b, IGF-l, FGF, PDGF, and bone morphogenetic proteins, in rum helps create an environment conducive to tumor cell growth.Prostate adenocarcinoma secretes WNT proteins that stimulate osteoblastic hone formation.Most metastases induce a mixed lytic and blastic reactionPrimaries which produce predominantly Lytic bone lesionsCarcinoma of the kidneyCarcinoma of the JuneCarcinoma of ihe gastrointestinal tractMalignant melanomaPrimaries which produce predominantly Sclerotic/Osteoblastic lesionsProstate adenocarcinomaCa ColonCa Breast